Emile Durkheim is linked with work on which condition in psychiatry?
1. Suicide
2. Obsessive compulsive disorder
3. Anxiety disorder
4. Schizophrenia

Correct answer: 1. Suicide

Explanation: Ans. A. SuicideSuicide (French: Le Suicide)It was a groundbreaking book in the field of sociology.It was written by French sociologistEmile Durliiheim and pubtshed in 1897.It was ostensibly a case study of suicide, a publication unique for its time that provided an example of what the sociological monograph should look like.